The local control in blood flow is seen in WE :
1. Skin
2. Muscle
3. Splanchnic vessels
4. Cerebrum

Correct answer: 1. Skin

Explanation: A i.e. Skin The capacity of tissues to regulate their own blood flow is referred to as autoregulation. This capacity is well developed in kidney,Q also seen in mesentry, skeletal muscle Q, brainQ, liverQ, & myocardium.